Temporomandibular joint is a ?
1. Plant joint
2. Synovial joint
3. Ball and socket joint
4. Saddle shaped joint

Correct answer: 2. Synovial joint

Explanation: The articulations between the temporal bone (mandibular fossa) and the mandibular condyle form a synovial joint, known as the temporomandibular joint (TMJ).A unique feature of the TMJ is the fibrocartilaginous articular disc, located within the joint capsule between the mandibular fossa and condyle.